Cusp of carabelli is present on
1. Permanent Maxillary 1st Molar
2. Permanent Mandibular 1st Molar
3. Permanent Maxillary 2nd Molar
4. Permanent Mandibular 2nd Molar

Correct answer: 1. Permanent Maxillary 1st Molar